Treatment of dermatitis herpetiformis -
1. Gluten free diet
2. Dapsone
3. Sulfonamide
4. All of the above

Correct answer: 4. All of the above

Explanation: Ans. is 'd' i.e., All of the above Treatment of dermatitis herpetiformiso Put the pateint on gluten free diet,o Dapsone is the drug of choice,o Sulphapyridine (a sulfonamide) can also be used.o Local application of antipruritic (1% phenol in calamine lotions is also used).o Vitamins & minerals are also given for supplementation.